Sensory supply of the palm is from which nerves-
1. Median nerve and Radial nerve
2. Radial nerve and ulnar nerve
3. Ulnar nerve and Median nerve
4. Musculocutaneous nerve and Radial nerve

Correct answer: 3. Ulnar nerve and Median nerve

Explanation: Ans. is 'c' i.e., Ulnar nerve and Median nerve Sensory supply of palm* Lateral three and half fingers and corresponding part of palm- Median nerve* Medial one and half fingers and corresponding part of palm - Ulnar nerve